A patient undergoing chemotherapy with cisplatin has severe nausea. Which of the following would be the drug to use in this patient
1. Scopolamine
2. Ondansetron
3. Naloxone
4. Cyclizine

Correct answer: 2. Ondansetron

Explanation: 5-HT3 ANTAGONISTS Ondansetron Mech of action:- It blocks the depolarizing action of 5-HT exerted through 5-HT3 receptors on vagal afferents in the g.i.t. as well as in NTS and CTZ. uses:- Cytotoxic drugs/radiation produce nausea and vomiting by causing cellular damage - release of mediators including 5-HT from intestinal mucosa - activation of vagal afferents in the gut -emetogenic impulses to the NTS and CTZ. Ondansetron blocks emetogenic impulses both at their peripheral origin and their central relay. thus, used to control cancer chemotherapy/radiotherapy induced vomiting, and later found to be highly effective in PONV and disease/drug associated vomiting as well. Ref:- kd tripathi; pg num:-668